Lymphovenous anastomosis is done for:
1. Ascites
2. Varicose veins
3. Leprosy
4. Filarial lymphedema

Correct answer: 4. Filarial lymphedema

Explanation: Ans. D i.e. Filarial lymphedema Lymphovenous anastomosis The best results also have been with breast cancer related arm lymphedema, while success is limited with lower limb, or leg lymphedema. Besides a reduction in swelling, the procedure has reduced the number and intensity of cellulitis attacks and has generally improved the patients overall quality of life.